Which of the following are incorporated into the core of nascent chylomicrons?
1. Triglyceride
2. Triglyceride and Cholesterol
3. Triglyceride, Cholesterol and Phospholipids
4. Free fatty acids

Correct answer: 2. Triglyceride and Cholesterol

Explanation: After ingestion of a meal, dietary fat (triglyceride) and cholesterol are absorbed into the cells of the small intestine and are incorporated into the core of nascent chylomicrons.